The single most common cause of pyrexia of unknown origin is
1. Mycobacterium tuberculosis
2. Salmonella typhi
3. Brucella species
4. Salmonella paratyphi A

Correct answer: 1. Mycobacterium tuberculosis

Explanation: Tuberculosis is an ancient disease, infection is common in India. So it is the most common cause of Pyrexia of Unknown origin, compared to others. Ref: Baveja textbook of microbiology; 4th edition